A part from proteins which of the following exhibits the cataytic activity?
1. Phospholipids
2. DNA
3. RNA
4. Heteropolysacharides

Correct answer: 3. RNA

Explanation: Ribozymes (ribonucleic acid enzymes) are RNA molecules that are capable of catalyzing specific biochemical reactions, similar to the action of protein enzymes. The 1982 discovery of ribozymes demonstrated that RNA can be both genetic material (like DNA) and a biological catalyst (like protein enzymes), and contributed to the RNA world hypothesis, which suggests that RNA may have been important in the evolution of prebiotic self-replicating systems.